Calcium gluconate can be given in which acid poisoning?
1. Sulphuric acid
2. Hydrofluoric acid
3. Nitric acid
4. Carbolic acid

Correct answer: 2. Hydrofluoric acid

Explanation: Hydrofluoric Acid :- Ingestion of hydrofluoric acid is A/W hypocalcaemia, acidosis, and shock. Hydroflouric acid burns results in bone destruction, and excruciating pain. Toxicity result in hypocalcemia and hypomagnesemia On Dermal exposure: * Severe pain * Hydrofluoric acid penetrates the skin and mucous membranes, causing deep tissue destruction On ingestion:Severe burning pain followed by retching and vomiting. Treatment: Topical Skin Therapy: Local application of 2.5% calcium gluconate gel is the treatment of choice.Systemic: IV calcium & Magnesium sulfate until the normal levels are reached in blood.